Intrapleural pressure is
1. Transpulmonary pressure + Alveolar pressure
2. Transpulmonary pressure - Alveolar pressure
3. Transmural pressure + Alveolar pressure
4. Alveolar pressure - Transpulmonary pressure

Correct answer: 4. Alveolar pressure - Transpulmonary pressure

Explanation: In physiology, intrapleural pressure (also called intrathoracic pressure) refers to the pressure within the pleural cavity. Normally, the pressure within the pleural cavity is slightly less than the atmospheric pressure, in what is known as negative pressure Ref: guyton and hall textbook of medical physiology 12 edition page number: 316,317,318